Bagassosis is occupational lung disease caused by:
1. Carbon dioxide.
2. Sugarcane dust.
3. Cotton fibre particles.
4. Mouldy hay.

Correct answer: 2. Sugarcane dust.